There was a sudden increases in the size of Thyroid swelling along with pain. Most likely cause is
1. Hemorrhage within the cyst
2. Malignant change
3. Nodular goiter
4. Colloid goiter

Correct answer: 1. Hemorrhage within the cyst

Explanation: . A painful nodule, sudden appearance, or rapid enlargement of a nodule raises suspicion of carcinoma but is usually due to haemorrhage into a simple nodule. Comment : more common among the given options is haemorrhage. other points to consider: Pain is not a common feature of thyroid swellings. Thyroiditis can present with a painful gland. Anaplastic carcinoma can cause local pain and pain referred to the ear if it infiltrates surrounding structures Source : Bailey and love 26 th edition Pg : 748